IPPV is useful in:
1. Hemopneumothorax
2. Pneumothorax
3. Flail chest
4. Hemothorax

Correct answer: 3. Flail chest

Explanation: Ans. C: Flail chest PPV can be effectively used in the treatment of flail segments, which characteristically render negative pressure breathing ineffective, but does not impede PPV. Flail chest is traditionally described as the paradoxical movement of a segment of chest wall caused by fractures of 3 or more ribs anteriorly and posteriorly within each rib.